Most common cause of death in Crohn's disease is due to:
1. Sepsis
2. Thromboembolic complication
3. Electrolyte disturbance
4. Malignancy

Correct answer: 4. Malignancy

Explanation: Both crohn's disease & Ulcerative colitis | | risk of colorectal cancer & S.I malignancy M/C Cause of death in CD - Malignancy